The matrix retainer wherein anatomy adaptation is possible without wedges is:
1. Tofflemire
2. Steele’s siqveland
3. Ivory no. 1
4. Ivory no. 8

Correct answer: 2. Steele’s siqveland

Explanation: Steele’s Siqveland is a self-adjusting matrix retainer without the use of wedges. It is used on a tapering tooth.